Ivabradine is used in the treatment of
1. Ventricular arrhythmia
2. Angina
3. Atrial arrhythmia
4. Hypertension

Correct answer: 2. Angina

Explanation: Ivabradine-direct acting bradycardiac agent is used in angina and in rare cases- CCF As it decreases myocardial oxygen demand. Ref. HH Sharma 3rd ed.